Which of the following drugs do not act through the ion channel receptors
1. Nicotine
2. Insulin
3. Gliclazide
4. Diazepam

Correct answer: 2. Insulin

Explanation: Insulin acts through enzyme-linked receptor - tyrosine kinase acts through: gliclazide- potassium channels, nicotine-nicotinic acetylcholine channels, diazepam- GABA channels Ref: KD Tripathi 8th ed